Which of the following is difference between Rheumatoid arthritis and osteoarthritis?
1. Osteophytes are seen in osteoarthritis
2. Systemic symptoms are seen in osteoarthritis
3. Rheumatoid arthritis is uncommon in hands and feet
4. Osteoarthritis is an autoimmune disease

Correct answer: 1. Osteophytes are seen in osteoarthritis

Explanation: Rheumatoid Arthritis Knee Osteoarthritis Knee Periarticular osteopenia Subchondral sclerosis Valgus > Varus Varus > valgus Marginal erosions Marginal erosions not seen No osteophytes are seen Osteophytes are seen Soft tissue swelling (pannus) Negative Subchondral cysts Subchondral cysts Figs. (A) RA Knee-Genu valgus; (B) OA Knee-Genu varus